Hepatotoxic carcinogen is produced by ?
1. Aspergillus flavus
2. Claviceps fusiformis
3. Aspergillus fumigatus
4. Argemone mexianna

Correct answer: 1. Aspergillus flavus

Explanation: Ans. is 'a' i.e., Aspergillus flavus AflatOXinS A Ilatoxins are a group of mycotoxins, produced by certain fungi, Aspergillus flavus and Aspergillus purasiticus. o A flatoxins B I and G I are the most potent hepatotoxins, in addition to being carcinogenic.